All the following statements about Listeria are true, EXCEPT:
1. It is a gram negative bacteria
2. It causes abortion in pregnancy
3. It causes meningitis in neonates
4. It is transmitted by contaminated milk

Correct answer: 1. It is a gram negative bacteria

Explanation: Listeria monocytogenes is a short coccoid, gram positive, catalase positive non spore forming rod with a tendency to occur in chains. They show tumbling motility at 20 - 25 degree centigrade and is non motile at 37 degree. The major virulence factors are invasion associated surface proteins called internalin and a pore-forming cytotoxin, listeriolysin O (LLO). Ref: Sherris Medical Microbiology By Kenneth J. Ryan, 5th Edition, Chapter 26 ; Textbook of Microbiology By Ananthanarayan and Panicker, 8th Edition, Page 395